Soft exudates are most commonly associated with
1. Background diabetic retinopathy
2. Coat's disease
3. Bale's disease
4. Hypertensive retinopathy

Correct answer: 4. Hypertensive retinopathy

Explanation: (Refer: AH Khurana, Comprehensive Textbook of Ophthalmology,5thedition,pg no: 527)